A patient is diagnosed to have CIN II. She approaches you for advice. You can definitely tell her the risk of malignancy as
1. 15%
2. 60%
3. 30%
4. 5%

Correct answer: 4. 5%

Explanation: CIN I and CIN II, the lesions have a 5-10% chance to progress to a high grade lesion CIN III progressing to cervical cancer is almost 10-30% Transformation Rates Form low grade CIN to High grade CIN takes around 5-6 years From High Grade CIN to invasive cancer takes around 10 years time. HPV related cervical lesions occur more on the cervical anterior lip than the lower lip (2:1 incidence).